Best investigation for acute cholecystitis is
1. ERCP
2. Oral cholecystography (OCG)
3. HIDA scan
4. IV cholangiography

Correct answer: 3. HIDA scan

Explanation: C i.e. HIDA Scan HIDA Scan & PIPIDA are best test to rule out acute cholecystitisQ with.--400% negative predictive value. It can be pseudo positive in chronic malnutrition, & Parenteral nutrition & alcoholic liver disease.